Microorganism adhere to host cell with the help of -
1. Lipoic acid
2. Lectin
3. Fimbriae
4. Capsule

Correct answer: 3. Fimbriae

Explanation: Some gram negative bacillli carry very fine , hair like surface appendages called fimbriae or pili. They are shorter and thinner than flagella and project from the cell surfaces as straight filaments . Fimbriae function as organ of adhesion helping the cells to adhere firmly to particles of various kinds . This property may serve to anchor the bacteria in nutritionally favourable microenvironments. Fimbriated bacteria form surface pellicles in liquid media Ref: Ananthanarayan & panikers textbook of microbiology 9th edition page no 20